Endotracheal tube in the esophagus is best assessed by:
1. Chest wall movement
2. Auscultation
3. CO2 Exhalation
4. Chest tube passes through vocal cords

Correct answer: 3. CO2 Exhalation

Explanation: For sure shot confirmation of endotracheal tube Capnography is used. ET tube in trachea (capnography) While if almost Flat line appears - Et tube is in esophagus.